Enamel tufts are
1. Thin tuft like structure extending from enamel surface to dentin-enamel junction
2. Tuft like structure arising from dentin-enamel junction towards enamel surface
3. Odontoblastic processes extending into enamel
4. None of the above

Correct answer: 2. Tuft like structure arising from dentin-enamel junction towards enamel surface